Which of the following is not true regarding cDNA
1. It is DNA complementary to mRNA
2. Reverse transcriptase is needed for its synthesis
3. Synthesis of human insulin requires c DNA
4. Contains  noncoding and  coding sequences.

Correct answer: 4. Contains  noncoding and  coding sequences.

Explanation: C DNA contains only coding sequences.